Mutation in alpha 5 chain of collagen 4, the diagonisis -
1. Alport's syndrome
2. Thin membrane disease
3. Nodular glomerulosclerosis
4. Good pasture syndrome

Correct answer: 1. Alport's syndrome